Which of the following antibacterial substance is
present in eggs and saliva?
1. Lysozyme
2. Secretozyme
3. Albumin
4. Isozyme

Correct answer: 1. Lysozyme